Pacemaker for respiration:
1. Pre-botzinger complex
2. Adipose tissue
3. All
4. None

Correct answer: 1. Pre-botzinger complex

Explanation: Pre-botzinger complex acts as pacemaker for respiration It shows restless membrane potential between-60to-40 mv